Which of the following is not true, regarding abutment selection for overdenture  fabrication?
1. Abutment should have healthy periodontal tissues
2. If bone loss is present, teeth should not be selected as overdenture abutments
3. A circumferential band of attached gingiva should be present
4. If a tooth has grade III mobility, it should not be selected as overdenture abutment

Correct answer: 2. If bone loss is present, teeth should not be selected as overdenture abutments

Explanation: If mild to moderate bone loss is present, change in crown:root ratio can make the tooth suitable as an overdenture abutment.